A copolymer which has a direct chain of one type and branches of other type is called a
1. Graft copolymer
2. Block copolymer
3. Random polymerisation
4. Branched chain polymerization

Correct answer: 1. Graft copolymer